Ketosis is caused by -
1. Excessine utilization of glucose
2. Over production of acetyl-CoA
3. Excessine secretion of insulin
4. Excessine intake of carbohydrates

Correct answer: 2. Over production of acetyl-CoA

Explanation: Ans. is 'b' i.e., Over production of acetyl-CoA o Ketogenesis occurs when there is high rate of fatty acid oxidation in liver which provides excessine acetyl-CoA.o Normally, rates of ketone body synthesis and their utilization (oxidation) are balanced so that their serum concentration is maintained to very low level (normal is < 0.2 mmol/L or< 1 mg/d1) and urinary excretion is negligible (< 1 mg/ 24 hours).o However, when rate of ketogenesis exceeds their utilization, their concentration in blood rises, and the condition is known as ketonemia (hyperketonemia).o Excess ketone bodies are eliminated in urine, this is known as kenonuria.o The overall condition is called Ketosis.o Ketogenesis is usually associated with excessive fatty acid oxidation^ which occurs most notably in starvation and diabetes (type 1 DM).